Cock-up splint is used for:
1. Axillary nerve injury
2. Ulnar nerve injury
3. Radial nerve injury
4. Median nerve injury

Correct answer: 3. Radial nerve injury

Explanation: Ans. C: Radial nerve injury Cock-up splint is used for radial nerve palsy (extensors of wrist and metacarpophalangeal joints paralyzed) Splints in Orthopaedics: Aeroplane splint: Brachial plexus injury Von Rosen splint: Congenital dislocation of hip/ DDH Knuckle bender splint: Ulnar nerve injury